All are features of reversible injury of cell, except-
1. Blebs
2. Amorphous densities in mitochondrial matrix
3. Loss of microvlli
4. Cellular swelling

Correct answer: 2. Amorphous densities in mitochondrial matrix

Explanation: Ans. is 'b' i.e., Amorphous densities in mitochondrial matrixFormation of amorphous densities in the mitochondrial matrix is a feature of irreversible injury and not reversible injury.Features of reversible cell injuryFeatures of irreversible cell injuryo Cellular swellingo Loss of microvillio Formation of cytoplasmic blebso Endoplasmic reticulum swellingo Detachment of ribosomeso Myelin figureso Clumping of nuclear chromatino Large flocculent, amorphous densities in swollen mitochondria due to increased calcium influxo Swelling and disruption of lysosomes and leakage of lysosomal enzymes in cytoplasmo Decreased basophiliao Severe damage to plasma membranes o Nuclear changes include:y Pyknosis (Nuclear condensation)y Karyorrhexis (Nuclear fragmentation)y Karyolysis (Nuclear dissolution)